Post gonococcal stricture urethra is most commonly situated in the
1. Bulbar Urethra
2. Penoscrotal Jn.
3. Distal part of spongy urethra
4. Just distal to external meatus

Correct answer: 1. Bulbar Urethra